Commonest sarcoma in children is –
1. Rhabdomyosarcoma
2. Lipoma
3. Angiosarcoma
4. Fibrosarcoma

Correct answer: 1. Rhabdomyosarcoma